Mean weight of 100 children was 12 kg. The standard deviation was 3. Calculate the percent Coefficient of variation:
1. 25%
2. 35%
3. 45%
4. 55%

Correct answer: 1. 25%

Explanation: Coefficient of variation: - Is a measure used to compare relative variability - Is a unit-free measure to compare dispersion of one variable with another - Is SD expressed as percentage of mean CV = In the given question, Mean weight (u) = 12 kg, n = 100, Standard deviation (s) = 3 Thus, coefficient of variance =s/ux 100 = 3/12 x100 = 25%